All are in included in picorna group of viruses except -
1. Encephalo myocarditis
2. HEV
3. Foot and mouth virus
4. Poliovirus

Correct answer: 2. HEV

Explanation: Ans. is 'b' i.e., HEV . HEV (Hepatitis E Virus) belongs to calcivirus. About option a & c .Enteroviruses can cause encephalitis, myocarditis (encephalomyocarditis) and hand foot & mouth disease (foot and mouth virus).